Water tree phenomenon is shown by:
1. 4th generation DBA
2. 5th generation DBA
3. 6th generation DBA
4. 7th generation DBA

Correct answer: 4. 7th generation DBA

Explanation: It's a microscopic appearance in cured layer of dentin adhesive due to incomplete water evaporation seen in 7th generation bonding agents.